Commonest type of ca gallbladder with gall stones is -
1. Adenocarcinoma
2. Anaplastic carcinoma
3. Sq. cell carcinoma
4. Transitional cell ca

Correct answer: 1. Adenocarcinoma